Main enzyme involved in digestion of fatty food
1. Pancreatic lipase
2. Lingual lipase
3. Gastric lipase
4. Phospholipase

Correct answer: 1. Pancreatic lipase

Explanation: Ebner’s glands on the dorsum of the tongue secrete lingual lipase and the stomach also secretes a lipase (gastric lipase}.
However, they are of very little significance in fat digestion.
Fat digestion essentially begins in the duodenum with the entry of pancreatic and biliary secretions.
Pancreatic juice contains lipase (pancreatic lipase), the most important enzyme for fat digestion.
The pancreatic lipase digests triglycerides (triacylglycerols) into free fatty acids and 2-monoglycerides (2- monoacylglycerols).